ELISA test when compared to Western blot technique for diagnosis of HIV infection is
1. Less sensitive, less specific
2. More sensitive, more specific
3. Less sensitive, more specific
4. More sensitive, less specific

Correct answer: 4. More sensitive, less specific

Explanation: ELISA: ELISA (screening test) is the most frequently used test for detection of both HIV-1- and HIV-2-specific antibodies in the serum. Highly sensitive, but less specific Supplementary or confirmatory tests: These tests are designed for a higher specificity than the screening tests, hence are used as the test of choice to verify the results of screening tests. Western blot, line immunoassay, and immunofluorescence assays are the most commonly used. HIV RNA Gold standard' for confirmation of HIV diagnosis Reverse transcriptase PCR (-PCR) Branched DNA assay NASBA (Nucleic acid sequence based amplification) Real time -PCR for estimating viral load =Most sensitive test - ELISA =Most specific test - HIV RNA PCR & 2nd is Western blot